Which one of the following is not a type of skull fracture?
1. Simple linear
2. Depressed
3. Diffuse axonal
4. Basal skull

Correct answer: 3. Diffuse axonal

Explanation: (C) Diffuse axonal # Skull Fracture:> The skull is prone to fracture at certain anatomic sites that include the thin squamous temporal and parietal bones over the temples and the sphenoid sinus, the foramen magnum, the petrous temporal ridge, and the inner parts of the sphenoid wings at the skull base.> The middle cranial fossa is the weakest, with thin bones and multiple foramina.> Other places prone to fracture include the cribriform plate and the roof of orbits in the anterior cranial fossa and the areas between the mastoid and dural sinuses in the posterior cranial fossa.> Types of Skull Fractures> Linear skull fracture> Basilar skull fracture'> Temporal fracture> Occipital condylar fracture> Clivus fractures> Depressed skull fracture